Tendon of Todaro connects:
1. Coronary sinus to tricuspid valve annulus
2. Ridge of muscle connecting IVC and SVC
3. Valve in opening of IVC
4. Raised interatrial ridge

Correct answer: 1. Coronary sinus to tricuspid valve annulus

Explanation: Ans: (a) Coronary sinus to tricuspid valve annulusRef: Gray's Anatomy, The Anatomical Basis of Clinical Practice, Susan Standring, 41st edition, 2016, Page 1000 &1001The valve of coronary sinus (Thebesian valve) is connected to the central fibrous body (where the tricuspid valve annulus is attached) by tendon of Todaro.Tendon of Todaro is a palpable, round, collagenous bundle present beneath the endocardium (subendocardial).Triangle of Koch: Boundaries:Inferiorly - septal cusp of the tricuspid valve,Basally - anteromedial margin of ostium of the coronary sinus,Superiorly - tendon of Todaro.Triangle of Koch is the landmark of atrioventricular node and its atrial connections.